Causes of Acute Flaccid Paralysis include:
1. Poliomyelitis
2. 'rick paralysis
3. AIDP (Acute Inflammatory Demyelinating Polyneuropathy)
4. All of the above

Correct answer: 4. All of the above

Explanation: Answer is D (All of the above): Poliomyelitis, Tick paralysis, AIDP, and ADEM may all present with Acute Flaccid Paralysis Muscle (acute myopathies) Inflammatory myopathy (polymyositis, dennatomyositis) Rhabodmyolysis Acute alcoholic necrotizing myopathy Periodic paralyses (hypokalemia, hyperkalemia) - Metabolic derangements (hypophosphatemia, hypokalemia, hypermagnesemia) Neuromuscular Junction Myasthenia gravis - Botulism Tick paralysis Other biotoxins (tetadotoxin, ciguatoxin) Organophosphate toxicity (can also cause neuropathy) - Lambert-Eaton Myasthenic Syndrome (LEMS) Nerve (acute neuropathies) - Diphtheria Porphyria Drugs & Toxins (arsenic, thallium, lead, gold chemotherapy - cisplatin/vincristine) - Vasculitis - Pareneoplastic syndromes and Paraproteinemias - Multifocal motor neuropathy Nerve Roots (acute polyradiculopathies): Acute Inflammatory Demyelinating Polyneuropathy (Guillain Barre syndrome) Lyme disease Sarcoidosis HIV & otter viruses (CMV. West Nile etc.) Anterior Horn cell (motor neuron diseases): - Poliomyelitis - Anterior spinal artery syndrome Spinal cord (corticospinal tract diseases): Inflammatory (transverse myelitis) Suacute combined degeneration (Br deficiency) - Spinal cord infarction Other myelopathies (spondylosis, epidural abscess or hematoma) Brain Pontine lesions (e.g., central pontine myelinolysis, pontine infarct or bleed) Acute Disseminated Encephalamyelitis (ADEM) Multifocal lesions (multiple metastases,multiple infarcts or haemorrhages e.g., DIC, TTP, bacterial endocarditis).